Inflammasome is formed in
1. Necrosis
2. Apoptosis
3. Necroptosis
4. Pyroptosis

Correct answer: 4. Pyroptosis

Explanation: Ans. (d) Pyroptosis(Ref: Robbins 9th/pg 58-59)Pyroptosis: Promotes the activation of inflammasomewhich activates Caspase-1Q which releases biologically active form of IL^-1 from the precursor.